Growth restriction during intrauterine period is estimated by which sonographic parameter?
1. Femur length
2. BPD
3. Abdominal circumference
4. Head circumference

Correct answer: 3. Abdominal circumference

Explanation: Ans. is c, i.e. Abdominal circumferenceAs discussed in chapter 6 for growth of fetus there is only one ultrasound parameter which is useful and that is abdominal circumference.Now whether it is Macrosomia/IUGR - best remains Abdominal circumference.